Maternal to child transmission of HIV is prevented by
1. Nevirapine
2. Lamivudine
3. Didanosine
4. Abacavir

Correct answer: 1. Nevirapine

Explanation: HIV infected mother can transmit the virus to fetus''infant during pregnancy, during delivery or by breastfeeding,
Early diagnosis and antiretroviral therapy to mother and infant significantly decrease the rate of intrapartum and perinatal transmission (Vertical transmission) of HIV infection.
Zidovudine treatment of HIV infected pregnant women from the beginning of the second trimester through delivery and of infant for 6 weeks following birth decreases the rate of transmission from 22.6 % to < 5%
A single dose of nevirapine given to the mother at the onset of labor followed by a single dose to the newborn within 72 hours of birth decreased transmission by 50%. This is the preferred regimen now in developing countries